The rate- limiting enzyme in glycolysis is-
1. a) Phosphofructokinase
2. b) Glucose 6- dehydrogenase
3. c) Glucokinase
4. d) Pyruvate kinase

Correct answer: 1. a) Phosphofructokinase

Explanation: Regulatory steps of Glycolysis are- - Hexokinase/ Glucokinase - Phosphofructokinase - Pyruvate kinase